Postural hypotension Is the common side effect of which of the following'
1. ACE inhibitors
2. Alpha receptor blockers
3. Selective beta1 blockers
4. Arteriolar dilators

Correct answer: 2. Alpha receptor blockers

Explanation: Ref-KDT 6/ Possible side-effects of alpha-blockers include: sudden drops in blood pressure when sitting up or standing up. headaches or nausea. swollen legs or ankles. tiredness, weakness or feeling lethargic. sleep disturbance. tremor. rash or itchiness of the skin. Postural hypotension